Transport media used for Neisseria is
1. Pike's medium
2. Amie's medium
3. VR medium
4. Autoclaved sea water

Correct answer: 2. Amie's medium

Explanation: Neisseria transport media - Amies medium, stuart medium.